The pain around the hip with flexion, adduction & internal rotation of lower limb in a young adult after a road traffic accident is suggestive of:
1. Intracapsular fracture of the femoral neck
2. Extra capsular fracture of the femoral neck
3. Posterior dislocation of hip
4. Anterior dislocation of hip

Correct answer: 3. Posterior dislocation of hip

Explanation: C i.e. Posterior dislocation